Myelin contains protein to lipid ratio as
1. 1:01
2. 2:01
3. 3:01
4. 1:04

Correct answer: 4. 1:04